Congenital adrenal hyperplasia is most likely a result of
1. Defects in adrenal steroidogenic enzymes
2. Addison's disease
3. Defects in ACTH secretion
4. Defects in corticosteroid-binding globulin

Correct answer: 1. Defects in adrenal steroidogenic enzymes